The best indicator of antemortem drowning is -
1. Froth in mouth and nostrils
2. Cutis anserina
3. Washerman's hand
4. Water in nose

Correct answer: 1. Froth in mouth and nostrils

Explanation: PM findings of drowning 
External findings
A) Specific (diagnostic)


White, one, lathery, abundant and tenacious froth at nose and mouth which increases on chest compression.


Weeds, grass, plants, mud or stones in tightly clenched hands.


B) Non-specific


Washer woman hand and feet.


Cutis antenna (goose skin).


Half opened eye with the dilated pupil and congested conjunctiva.


Internal findings


Specific (diagnostic)


i) Water in stomach and intestine.
ii) Diatoms in bone marrow and brain.
     B. Non-specific

Emphysema aquosum.
Paltauf's hemorrhage (sub pleural hemorrhage).